All the following coenzymes are derivative of B-complex vitamins, Except
1. S-adenosylmethionine
2. NAD+
3. Pyridoxal phosphate
4. Coenzyme A

Correct answer: 1. S-adenosylmethionine

Explanation: .NAD+ (Niacin)Pyridoxal phosphate (Pyridoxine)Coenzyme A (pantothenate )Methionine reacts with ATP forming S-adenosylmethionine, "active methionine"Harper 30th edition pg: 308